Which of the following phospholipid is associated with apoptosis?
1. Phosphatidylcholine
2. Dipalmitoyl Phosphatidylcholine
3. Phosphatidylserine
4. Phosphatidylinositol 4,5-bisphosphate

Correct answer: 3. Phosphatidylserine

Explanation: Lipid bilayer is asymmetric. Phosphatidylserine and phosphatidyl ethanolamine are located in the inner leaflet Lecithin and sphingomyelin are located in the outer leaflet. Flipping of phosphatidylserine to outer membrane is seen in apoptosis. This is the basis of annexin V assay